The microhardness of dentin is about:
1. 1/2 that of enamel
2. 1/7 that of enamel
3. 1/4 that of enamel
4. 1/5 that of enamel

Correct answer: 4. 1/5 that of enamel